Indirect coombs test detect -
1. Antibodies attached to RBC surface
2. Antigen in serum
3. Antibodies in the serum
4. Antigen attached to RBC surface

Correct answer: 3. Antibodies in the serum